The technique of blocking the facial nerve at the neck of mandible is:
1. Van Lint's block
2. O'Brien's block
3. Nadbath block
4. Atkinson's block

Correct answer: 2. O'Brien's block

Explanation: Ans. O'Brien's block